Black gun powder composition ?
1. Charcoal 60% + Potassium nitrate 20% + sulphur 20%
2. Charcoal 25% + Potassium nitrate 70% + sulphur 05%
3. Charcoal 15%+ Potassium nitrate 75% + sulphur 10%
4. Charcoal 65% + Potassium nitrate 20% + sulphur 15%

Correct answer: 3. Charcoal 15%+ Potassium nitrate 75% + sulphur 10%

Explanation: Ans. is 'c' i.e., Charcoal 15% + Potassium nitrate 75% + sulphur 10% The classical gun powder is known as black powder, consists of charcol (15%), Sulphur (10%), and potassium nitrate (75%). Depending on fineness, the black gun powder is designated as FG, FFG, FFFG. etc. (F = fineness). Pyrodex is another gun powder with same components, but with different ratios. Black gun powder produces smoke, i.e. It is smoke producing powder. Smokeless powder, in addition to black powder, has nitrocellulose (single base), or nitrocellulose plus nitroglycerine (double base), or nitrocellulose plus nitroglycerine plus nitroguanidine (triple base). Semi smokeless powder has 80% black powder and 20% smokeless powder (nitrocellulose).